With reference to varicocele, which one of the following is not true of it ?
1. Varicosity of cremestric veins
2. Left side is affected usually
3. Feels like a bag of worms
4. May lead to infertility

Correct answer: 1. Varicosity of cremestric veins